The permeability of which of the following ion leads to resting membrane potential?
1. Sodium
2. Calcium
3. Potassium
4. Chloride

Correct answer: 3. Potassium

Explanation: Ionic Basis of Nerve Resting Membrane Potential
• RMP: Resting membrane potential is a potential difference across the cell membrane in millivolts, which is by convention -70 Mv.
• RMP is established by the diffusion potential that results from concentration differences of permeable ions.
• Resting membrane potential (-70 mV) is close to equilibrium potential of K+ and Cl (both-85 mV) and far from the equilibrium potential of Na+ (+65 mV). That means at rest the nerve membrane is more permeable to K+ than Na+
• Na+ is actively transported out of neurons and other cells and K+ is actively transported into cells, but because K+ permeability at rest is greater than Na+ permeability, K+ channels maintain the resting membrane potential.